The ureteric bud develops from ?
1. mesonephric duct
2. metanephric duct
3. pronephric duct
4. genital sinus

Correct answer: 1. mesonephric duct

Explanation: Development of kidneys - The definative human kidney arises from two distinct sources, 1). The secretory part , I.e., excretory tubules or (nephrons) are derived from the lowest part of the nephrogenic cord this part is the metanephros, the cells of which form the metanephric blastema 2). The collecting part of the kidney is derived from a diverticulum called the ureteric bud which arise from the lower part of the mesonephric duct. Ref : Inderbir singh's Human Embryology, eleventh edition , pg. no., 265.